Which of the following drugs is not used topically for treatment of open angle glaucoma?
1. Lanatoprost
2. Brimonidine
3. Acetazolamide
4. Dorazolamide

Correct answer: 3. Acetazolamide

Explanation: Ans. is 'c' i.e., Acetazolamide